Urinary cytology is a useful screening test for the diagnosis of:
1. Renal cell carcinoma
2. Wilm's tumour
3. Urothelial carcinoma
4. Carcinoma prostate

Correct answer: 3. Urothelial carcinoma

Explanation: Diagnosis Cytologic examination of exfoliated cells are useful in detecting cancer In symptomatic patients and assessing response to treatment Most useful for early diagnosis of recurrence In TCC Exfoliated Markers for detection of bladder cancer Newer urinary tumor markers like BTA test Urinary Nuclear matrix protein (NMP22) can detect cancer specific proteins in urine (BTA/NMP22) Hyaluronidase, Lewis-X antigen on exfoliated urothelial cells Determination of Telomerase activity in exfoliated cells Have been used to detect new Index tumor and recurrent tumors.